Which of the following statements about iodine is false
1. Contraindicated in hypertension
2. Causes iodism
3. Inhibits the realese of thyroxine
4. Inhibits the synthesis of iodo thyroxine and iodo thyronine

Correct answer: 1. Contraindicated in hypertension

Explanation: Refer KDT 7/e p 254 Iodine iodides ate useful in Graves disease and make the gland shrink, firm and less vascular These can inhibit all facets of thyroid peroxidase as well as 5 deiodinase Later is involved in peripheral conversion of T4 to T3